A bacterial pyogenic parotitis is found mostcommonly in which of the following -
1. Mumps
2. Debilitation after major surgery
3. Drug reaction (iodine mumps)
4. Uveoparotid fever

Correct answer: 2. Debilitation after major surgery